In all the following conditions bone age will be decreased except:
1. Congenital hypothyroidism
2. Constitutional delay
3. Familial short stature
4. Rickets

Correct answer: 3. Familial short stature

Explanation: 2Ans: c (Familial short stature) Ref: OP Ghai, 6th ed, p. 50In familial short stature, bone age is equal to chronological age.Familial short stature* Short parents* Short child* Bone age normal i.e.,= chronological age* Ht < expected for age i.e., height age is reduced* Ht age < chronological age =bone ageCongenital hypothyroidism* Delayed bone age* Epiphyseal dysgenesis* Skull -large fontanelle / wide sutures and wormian boneConstitutional short stature* Normal weight and length at birth* Normal growth in first year, then decelerates to < 3rd centile* From about 3 years--growth velocity normal* Bone age < chronological age* Bone age = height age* Puberty delayed* History of short stature and delayed puberty in parents.* Eventual height and sexual development normal in both patients and parents.Short stature--causesProportionateDisproportionate* Normal variants--familial, constitutionalShort limbs * Achondroplasia* PrenatalIUGRIU infectionsChromosomal--Down syndrome* Rickets* Osteogenesis imperfecta* Hypothyroidism* PostnatalShort trunkNutritionalChronic diseasesEmotional deprivationEndocrine except cretinismHypothyroidismPseudohypoparathyroidism,Cushing syndrome* Mucopolysaccharidosis* Spondylo-epiphyseal dysplasia* Caries spineMost common cause of short stature is constitutional (AI2007)